Proved association of celiac sprue is with
1. Scleroderma
2. Pemphigus
3. Pomphoid
4. Dermatitis herpetiformis

Correct answer: 4. Dermatitis herpetiformis